Which nerve does not have parasympathetic fibres-
1. Facial nerve
2. Glossopharyngeal nerve
3. Trigeminal nerve
4. Vagus

Correct answer: 3. Trigeminal nerve

Explanation: Ans. is 'c' i.e., Trigeminal nerve * Four cranial nerves CN III, CN VII, CNIX & CN X carry presynaptic parasympathetic (visceral motor) axons as they emerge from brain stem.Parasympathetic fibres carrying cranial nervesAssociated GanglionOcculomotor (III)Ciliary ganglionFacial (VII)Pterygopalatine & Submandibular ganglionGlossopharyngeal (IX)Otic ganglionVagus (X)Visceral ganglions